Which of the following is true for DOTS:
1. Treatment under supervision
2. Every patient is given the same treatment
3. Streptomycin is given to all the patients
4. Daily regimen

Correct answer: 1. Treatment under supervision

Explanation: Ans: A i.e. Treatment under supervision DOTS stand for directly observed treatment short course, in which alternate day treatment is used. Drugs is given categorywise.